Dose of Nevirapine to Newborn for Prevention of Mother to child transmission of HIV is
1. 2 mg/ kg
2. 5 mg/kg
3. 10 mg/kg
4. 20 mg/kg

Correct answer: 1. 2 mg/ kg

Explanation: Birth Weight NVP daily dose(in mg) NVP daily dose(in ml) Duration Infants with birth weight <2000gm 2 mg/kg once daily 0.2 ml/kg once daily Upto 6 weeks irrespective of exclusively breast fed or exclusive replacement fed Birth weight 2000 -2500gm 10 mg once daily 1 ml once daily Birth weight more than 2500gm 15 mg once daily 1.5 ml once daily